Which of the following is NOT seen in furious Rabies -
1. Hyperexcitability
2. Aerophobia
3. Hypertension
4. Constriction of pupil

Correct answer: 4. Constriction of pupil